Drug most useful in treatment of obsessive compulsive disorder is:
1. Flucytosine
2. Fluoxetine
3. Flourouracil
4. Finasteride

Correct answer: 2. Fluoxetine

Explanation: Fluoxetine